Even in large dosages used in malaria, quinine does not cause toxicity, because :
1. It enters in fat cells
2. Elevated plasma alpha acid glycoprotein
3. Deposited in infected RBC's
4. Excreted rapidly in urine

Correct answer: 2. Elevated plasma alpha acid glycoprotein

Explanation: Ans. is 'b' elevated plasma alpha} acid glycoprotein. Patient with malaria can achieve high plasma level of quinine with few signs of toxicity because of the elevated plasma alpha 1 acid glycoproteins, produced during acute phase of infection. It prevents quinine toxicity through binding of most of the drug in the plasma.Peak plasma level which a person can achieve without producing toxicity.a. in severely ill patients -15-20 mg/litreb. in persons without malaria - 10 mg/litreAbout quinineIt is an erythrocytic schizonticide*Used for treatment of multidrug resistant strains of P. falciparumAssociated with a triad of dose related toxicitiesCinchonism*Hypotension*Hypoglycemia*